Complication of humeral lateral epicondyle fracture is:
1. Non union
2. Tardy ulnar nerve palsy
3. Cubitus valgus deformity
4. All of the above

Correct answer: 4. All of the above

Explanation: Ans. D: All of the above Fracture of lateral condyle of humerus are classified by Milch into I and II based on how far medially the fracture exits. If the fracture line exits medial to the trochlear groove - no lateral buttress for the ulna & it may dislocate laterally (Milch II). If the fracture line exits lateral to the trochlear groove - ulna will be buttressed by the trochlea and will not dislocate (Milch I). Treatment - open reduction internal fixation-must see inside the joint to judge the reduction (because it is cartilaginous!) Complications of lateral humeral condyle fractures include: Nonunion, usually from persistent cast treatment of mildly displaced fractures Cubitus valgus deformity-diminished growth at the lateral side of distal humerus epiphysis results in a cubitus valgus deformity which may result in tardy/late ulnar nerve palsy. Avascular necrosis is a complication of operative dissection. Cubitus varus of a mild degree is fairly common, even after nonoperative treatment. Spur formation at the metaphyseal site of fracture is unusually frequent after lateral humeral condyle fractures, it is only a problem if it accompanies cubitus varus. Malunions can occur from faulty reduction or fixation, as they can with any fracture. Osteo-arthritis if improper reduction of articular surface.